A 50–year old man has a history of frequent episodes of renal colic with high calcium renal stones. The most useful diuretic in the treatment of recurrent calcium stones is :
1. Furosemide
2. Spironolactone
3. Hydrochlorothiazide
4. Acetazolamide

Correct answer: 3. Hydrochlorothiazide

Explanation: Thiazides cause hypercalcemia by decreasing the renal excretion of Ca2+. These are useful in a patient having hypercalciuria.
In such a patient, thiazides decrease the excretion of Ca2+ in the kidney and thus reduces the chances of stone formation.